30 years old primipara in labour with transverse He- Treatment of choice is:
1. Internal cephalic version
2. Emergency cesarean section
3. Wait and watch
4. External cephalic version

Correct answer: 2. Emergency cesarean section

Explanation: caesarian is the best option in most cases of transverse lie.It is also indicated when external version fails or is contraindicated.If the membranes are intact a low transverse incision is usually possible.There may be difficulty in delivery of the baby at caesarian section in cases done late in labour after the liqour has drained away (refer pgno:385 sheila textbook of obstetrics 2 nd edition)